Which one of the following immunoglobulins is characteristically elevated in filariasis -
1. IgA
2. IgE
3. IgG
4. IgM

Correct answer: 2. IgE